First test to be done when a female presents with hirsutism is
1. Serum estradiol
2. Serum insulin
3. Serum testosterone
4. Serum prolactin

Correct answer: 3. Serum testosterone

Explanation: Serum testosterone should be first test to be done in females with hirsutism to rule out androgen producing tumors.